All are true about succinate dehydrogenase deficient gastrointestinal stromal tumor (SDH-deficient GIST) except
1. More common in children and young adult
2. Negative for DOG-1
3. Most common location is stomach
4. Associated with Carney-Stratakis syndrome

Correct answer: 2. Negative for DOG-1

Explanation: Answer- B. Negative for DOG-1Succinate dehydrogenase (SDH) deficient - Gastrointestinal Stromal Tumors (GIST)-Pathological features-SDH deficient - GISTs do not have c-KIT mutation --> absence of c-KIT mutation.They strongly express KIT and DOG1/Ano-1, but do not have KIT mutation.Clinical features-They maY be associated with :-Carney stratakis syndrome - Paraganglioma with familial GISTCarney triadThese tumors have tendency to appear in children and young adultsThey occur exclusively in stomach.